CD marker of Cytotoxic T Cell Marker is?
1. CD4
2. CD8
3. CD21
4. CD45

Correct answer: 2. CD8

Explanation: ananthanarayanan textbook of microbiology 9th edition. *cytotoxic T cells with CD8 surface markers and MHC class 1 restriction can kill and lyse target cells carrying new or foreign antigen